Which one of the following intervention studies on coronary artery disease did not observe significient changes in mortality or risk factors since the control group was not properly chosen-
1. Stanford - Three Community Study
2. The North Kerelia Project
3. Multiple Risk Factor intervention Trial
4. Lipid Research Clinic Study

Correct answer: 3. Multiple Risk Factor intervention Trial

Explanation: MRFIT carried out in USA was aimed at high risk adult males aged 35 to 57 years,over the 7 year follow up period HID mortality was reduced by 22%,more in the intervention group but this was not statistically significant. This was because the control group has also changed their habits and lifestyle to a far greater extent than anticipated by the designers of trial.the trial produced no significant changes at all.in mortality or risk factors in as much as the control group was not properly chosen. Ref- Park's textbook of Preventive and Social Medicine 24th edition.